A 4 year old child suffered from a fall on outstretched hand. X rays revealed a fracture with the fracture line at the physes with a small metaphyseal fragment.There was no epiphyseal fracture. What type of injury by Salter Harris Classification is this ?
1. I
2. II
3. III
4. IV

Correct answer: 2. II

Explanation: Answer- B. IIType II : The fracture involves the physis and a triangle of metaphyseal bone (Thurston Holland sign).This is the commonest type of epiphyseal injury.